How an electrical synapse is different from a chemical synapse?
1. No cytoplasmic continuity between presynaptic and post synaptic
2. Direction of impulse is unidirectional
3. Connexons are involved in electrical synapse
4. Electrical synapse has more latent period than chemical synapse

Correct answer: 3. Connexons are involved in electrical synapse

Explanation: Ans. (c) Connexons are involved in electrical synapse(Ref: Ganong's Review of Medical Physiology, 25th ed., ch-2, p. 41-42)Electrical synapse uses Gap junctionsGap junctions permits substances to pass between the cells without entering the extracellular fluid (ECF)Gap junctions are composed entirely of an integral membrane protein called connexonsEach connexon is made up of six protein subunits called connexinsGap junctions are abundant in cardiac muscles which are called as intercalated discs. It is because of this, cardiac muscle functions as single unit called as functional syncytiumGap junctions are also seen in single unit smooth muscles seen in visceral organs